During appendectomy if it is noticed that base of appendix is inflammed then further line of treatment is
1. No appendicectomy
2. No burrying of stump
3. Hemicolectomy
4. Cecal resection

Correct answer: 2. No burrying of stump

Explanation: Ans. is 'b' i.e. No burrying of stump